In mature erythrocytes, the pentose phosphate pathway is important as a source of:
1. Pentose phosphates
2. NADH to maintain heme iron in the ferrous form
3. For generation of energy in the form of ATP
4. NADPH to maintain glutathione in the reduced form

Correct answer: 4. NADPH to maintain glutathione in the reduced form

Explanation: NADPH is used by glutathione reductase to maintain glutathione in the reduced form. Pentose phosphates are not needed in the red blood cell. The pentose phosphate pathway is not a source of NADH & ATP is not generated from NADPH.